About chronic hepatitis B , all are true, EXCEPT:
1. 90 % chance for chronic infection if infected at birth.
2. Mild chronic hepatitis B has 5 year survival 97 %
3. Adult infection is usually symptomatic
4. Chronicity if infected in adult age is about 10 %

Correct answer: 4. Chronicity if infected in adult age is about 10 %

Explanation: Chronic hepatitis B: 1. Infection at birth is clinically silent but carries a 90% chance of chronic infection. 2. Infection in young adulthood is clinically apparent acute hepatitis but a risk of chronicity of only approximately 1%. 3. A 5-year survival rate of 97% for patients with mild chronic hepatitis B, 86% for moderate to severe chronic hepatitis B, and only 55% for patients with chronic hepatitis and postnecrotic cirrhosis. Ref: Harrison, Edition-18, Page-2567.